All of the following are components of urogenital diaphragm except:
1. Sphincter urethrae
2. Superficial transverse perineii
3. Deep transverse perineii
4. Superficial fascia of urogenital diaphragm

Correct answer: 2. Superficial transverse perineii

Explanation: Between the 2 fascial layers (fatty/ superficial and deep/ Colle's fascia) of the urogenital diaphragm lie deep transverse perineii; superficial to the proximal urethral sphincter mechanismUrogenital diaphragmIt is a triangular musculo fascial diaphragm situated in the anterior part of perineum filling the gap of the pubic arch.Components of urogenital diaphragm:- Deep transverse perinei musclesSphincter urethrae- Superior/ superficial fascia of urogenital diaphragm- Inferior/ deep fascia of urogenital diaphragm (Perineal membrane)Colles fascia does not form a part of urogenital diaphragm, but it is attached to the posterior border of urogenital diaphragm